Which of the following is true about hypertrophic scar?
1. It does not improve with time
2. Flexor surfaces are usually affected
3. Usually develops months after surgery
4. The lesion overgrows its boundaries

Correct answer: 2. Flexor surfaces are usually affected

Explanation: Hypertrophic Scar Keloid Scar within the margin Improves with time Flexor surface usually affected Usually develops weeks after surgery Scar outside the margin Never improves with time Skin our sternum are effected/pinna Characterized by excess type III Collagen